The guidelines according to Baby Friendly Hospital Initiative includes all except -
1. Mothers and infant to be together for 24 hours a day
2. Mother to initiate breast feeding within 4 hours of normal delivery
3. Giving newborn infants no food or drink other than breast milk
4. Encouraging breast feeding on demand

Correct answer: 2. Mother to initiate breast feeding within 4 hours of normal delivery

Explanation: The global BFHI has listed ten steps which the hospital must fulfill. Have a written breastfeeding policy that is routinely communicated to all health care staff Train all health care staff in skills necessary to implement this policy Inform all pregnant women about the benefits and management of breastfeeding Help mothers initiate breastfeeding with in one half hour of birth. Show mothers, how to breastfeed and maintain lactation even if they should be separated from their infants Give newborn infants no food or drink other than breast milk not even sip of water unless medically indicated. Practice room -in-that is allow mothers and infants to remain together 24 hours a day. Encourage breastfeeding on demand. Give no artificial teats or pacifiers to breast feeding infants Foster the establishment of breastfeeding support groups and refer mothers to them on discharge from the hospital or clinic.(refer pgno:540 park 23 rd edition)